Compound odontoma shows on a radiograph as
1. Supernumerary teeth
2. Radiolucent and radiopaque areas
3. Masses of calcified areas
4. Distinguishable tooth -Like structures

Correct answer: 4. Distinguishable tooth -Like structures